The optic foramen is located between
1. Greater wing and lesser wing of sphenoid
2. Greater wing and body of sphenoid
3. Lesser wing and body of sphenoid
4. Lesser wing of sphenoid and ethmoid

Correct answer: 3. Lesser wing and body of sphenoid

Explanation: The optic foramen/canal is the opening of the optic canal. It is bounded medially by the body of the sphenoid and laterally by the lesser wing of sphenoid. Contents: Optic nerve and ophthalmic artery Ref: BD Chaurasia; 6th edition